Which is true regarding Trendelenburg operation ?
1. Sripping of the superficial varicose vein
2. Flush ligation of the superficial varicose vein
3. Ligation of the perforators
4. Ligation of small tributaries at the distal end of superficial varicose vein

Correct answer: 2. Flush ligation of the superficial varicose vein

Explanation: Answer is 'b' i.e. Flush ligation of the superficial varicose vein Sapheno-femoral Ligation - is called Trendelenburg's procedure.